Heme is converted to bilirubin mainly in:
1. Kidney.
2. Liver.
3. Spleen
4. Bone marrow.

Correct answer: 3. Spleen

Explanation: C i.e. Spleen Breakdown of heme to bilirubin occurs in macrophages of the reticuloendothelial system mainly in the spleenQ also in the liver and bone marrow.